The gradient of alveolar arterial oxygen tension increases in All except
1. Diffusion defect
2. Right left shunt
3. Hypoventilation
4. Ventilation perfusion abnormality

Correct answer: 3. Hypoventilation